An a phake wearing aphakic glasses will most commonly notice:
1. Pincushion distortion
2. Spherical aberration
3. Barrel distortion
4. Chromatic aberration

Correct answer: 1. Pincushion distortion

Explanation: Ans. Pincushion distortion